Which Anti-Fungal is safe in both Renal Failure and Hepatic Failure patients ?
1. Amphotericin B
2. Caspofungin
3. Micafungin
4. Anidulafungin

Correct answer: 4. Anidulafungin

Explanation: ECHINOCANDINS: MOA: Inhibits 1,3-b-d-glucan synthesis. Three Echinocandins are approved for clinical use: Caspofungin, Anidulafungin,and Micafungin. Used against Candida and Aspergillus sp. Fungicidal activity against Candida species while Fungistatic against Aspergillus species. CAspofungin: Candida and Aspergillus sp. Micafungin Anidulafungin: It is not metabolized by liver instead it is cleared by slow chemical degradation from the body, hence safe in both renal and hepatic failure patients.